Which disinfectant works by plasma membrane damage?
1. Alcohol
2. Quaternary ammonium compounds
3. Formaldehyde
4. Halogen compounds

Correct answer: 2. Quaternary ammonium compounds

Explanation: Quaternary ammonium compounds acts by damaging plasma membrane causing leakage of cellular contents. 90% alcohol is effective against non spore forming bacteria, fungi and viruses. It acts by denaturation of bacterial proteins. Chlorine and iodine are halogen compounds used as disinfectants. Chlorine acts by altering cellular components, while iodine inhibits protein function. Formaldehyde acts by inactivation of proteins.